Branch of internal iliac artery
1. Ovarian artery
2. Testicular artery
3. Superior vesicle
4. Inferior epigastric artery

Correct answer: 3. Superior vesicle

Explanation: Generally, the artery divides into an anterior division and a posterior division, with the posterior division giving rise to the superior gluteal, iliolumbar, and lateral sacral arteries. The rest usually arise from the anterior division. umbilical artery superior vesical artery obturator artery vaginal artery inferior vesical artery uterine artery middle rectal artery internal pudendal artery inferior gluteal artery Imageref - pubmed.com